Short gastric artery is a branch of -
1. Coelioc trunk
2. Splenic artery
3. Hepatic artery
4. Superior mesentric artery

Correct answer: 2. Splenic artery

Explanation: Ans. is 'b' i.e., Splenic artery o Arterial supply of stomach is as follows -Along lesser curvature : Left gastric artery (branch of coeiiac trunk) and right gastric artery (branch of proper hepatic artery').Along greater curvature : Right gastroepiploic artery (branch of gastroduodenal artery) and left gastroepiploic artery (branch of splenic artery').Fundus : 5-7 short gastric arteries (branches of splenic artery).o Most consistently largest artery' to stomach is left gastric artery.